Which one of the following is an Autosomal Dominant disorder :
1. Cystic fibrosis
2. Hereditary spherocytosis
3. Sickle cell anemia
4. G-6PD deficiency

Correct answer: 2. Hereditary spherocytosis

Explanation: Answer is B (Hereditary Spherocytosis) : Hereditary spherocytosis is inherited as an autosomal dominant disorder. Autosomal dominant disorders: Autosomal recessive disorders: X-Linked disorders: - Familial Hypercholesterolemia - Deafness - Hemophilia A Q (recessive) - Hereditary nonpolyposis colon - Albinism Q -G6PD deficiency Q (recessive) cancer - Wilson's disease Q -Ducchene/Becker muscular dystrophy - Polyposis of the colon - Hemochromatosis Q (recessive) - BRCA 1 and BRCA 2 breast cancer - Sickle cell anemia Q -Fabry's disease - Marfan's syndrome Q - b thalassemia Q -Ocular albinism - Hereditary spherocytosis Q -Cystic fibrosis Q -Testicular feminization syndrome - Adult polycystic kidney disease - Hereditary emphysema (at - Chronic granulomatous disease Q antitrypsin deficiency) - Hypophosphatemic rickets Q - Huntington's chorea Q -Homocystinuria Q (dominant) - Acute intermittent porphyria Q - Freidrich's ataxia Q -Fragile-X syndrome Q (recessive) - Osteogenesis imperfecta tarda Q -Phenylketonuria Q -Color-blindness Q - von Willebrand's disease Q -Fanconi's Syndrome -- - Myotonic dystrophy Q - Neurofibromatosis Q -Gaucher's Disease ? - Tuberous sclerosis Q - Otospongiosis Q'otosclerosis - AchondroplasiaQ